A middle aged female presents with polyarthritis with elevated rheumatoid factorANAanalevels, which among the following will help you to differentiate rheumatoid arthritis from SLE ?
1. Soft tissue swelling at the proximal inter phalangial joint
2. Juxta articular osteoporosis or X-ray
3. Articular erosions on X-ray
4. Elevated ESR

Correct answer: 3. Articular erosions on X-ray